Cock's peculiar tumour is
1. Secondary to infected sebaceous cyst
2. Secondary to osteomyelitis of skull bones
3. Secondaries in skull bones from carcinoma thyroid
4. Epithelioma of scalp

Correct answer: 1. Secondary to infected sebaceous cyst

Explanation: (Secondary to infected sebaceous cyst) (594-BaiIy & Love 25th)Cock's peculiar tumour - (Infected ulcerated sebaceous cyst)An infected cyst may discharge its contents. If an ulcerated surface remains, it can resemble an epithelioma, and to which the term 'Cock's peculiar tumour may be appliedALSO - REMEMBERS* MoIIuscum fibrosum - are polypoid or filiform soft flashy skin tags which occur on the neck trunk andface* Cylindroma (syn 'turban' tumour) - extensive turban like swelling over the scalp, relatively benign* Glomus tumour is seen in fingers (Subungual) role - thermal regulation* RANULA is a retension cyst of minor salivary glands transluscent bluish swelling in the floor of the mouth** Treatment - complete excision or marsupialization for large cystGLOMANGIOMA or Glomovenous malformation* Typical glomus tumour are sub categorized as solid glomus tumour, glomangioma & glomangiomyoma* Solid glomus tumour is the most common variety of glomus tumour* Glomangioma, comprises approximately 20% of glomus tumour are characterized by dilated veins surrounded by small clusters of glomus cells* Glomangioma occure more often during childhood are rarely subungual & are less likely to be painful or symptomatic* Most predominate on the hand and forearm*** Histologically they are usually poorly circumscribed, occasionally plaque like lesion that resemble cavernous hemangioma* Secondary thrombosis & phlebolith formation may occur in these lesions just as they would in an ordinary hemangioma* Hidradentitis suppurativa - is a chronic suppurative condition of apocrine gland (Modified sweat gland**) bearing skin which is found in the axillae, sub mammary regions, nape of the neck, groin, mons pubis, inner thigh & sides of the scrotum as well as the perineum & buttocks* Fordyce's spot's - are ectopic sebaceous glands*, which has no erythcmous halos & are found in the mouth of healthy individuals**. It is not a sign of internal malignancy* Miliaria - is a disorder that occurs as a result of either obliteration or disruption of the Eccrine sweat gland*** Milium - is a small sub epidermal keratin cyst that occurs in under developed sebaceous glandDercum's disease (Adiposis Dolarosa) - It is characterized by the presence of multiple circumscribed or diffuse painful sub cutaneous fat depositions on the trunk and limbs**, particularly near the kneeAcute Febrile Neutrophilic Dermatosis (SWEET'S SYNDROME)Characterized by, fever, neutrophilia, erythematous, tender papulo- nodulo- plaques and targetoid lesions with pseudo vesiculation. Common women following RTIAssociated with malignancy, AML, lymphoma, myeloma, myelodysplastic syndromes and solid tumours (primarily of the genitor-urinary tract) as well as drugs (cg-all- transretinoic acid)